A patient has the following findings-splenomegaly, low RBC count, normal WBC, and platelet count and peripheral blood smear shows teat drop cells. Repeated M aspiration is unsuccessful. The probable diagnosis is -
1. Thalassemia
2. Chronic myeloid leukemia
3. Iron deficiency anaemia
4. Myelofibrosis

Correct answer: 4. Myelofibrosis